All are seen in MEN IIA syndrome except
1. Medullary carcinoma of thyroid is seen in 100% of the patients
2. 40 - 30% patients have phaeochromocytoms
3. Caused by loss of function mutation in II protooncogene
4. Primary hyperparathyroidism is the most variable feature of MEN II A syndrome

Correct answer: 3. Caused by loss of function mutation in II protooncogene

Explanation: Answer- C. Caused by loss of function mutation in II protooncogeneMEN-2A or Sipple syndrome, is characterized by pheochromocytoma, medullary carcinoma of the thyroid, and parathyroid hyperplasia.Parathyroid hyperplasia and evidence of hypercalcemia or renal stones.MEN-2A is clinically and genetically distinct from MEN-I and is caused by germline gain-of-function mutations in theRET proto-oncogene on chromosome l0qll.2.40% to 50% have pheochromocytomas.Primary hyperparathyroidism is the most variable feature of MEN 2A syndrome.